Medical negligence in which the patient contributed to the injury complained of:
1. Civil negligence
2. Corporate negligence
3. Contributory negligence
4. Criminal negligence

Correct answer: 3. Contributory negligence

Explanation: Ans. Contributory negligence